All are true regarding cluster headache except:
1. Most common in male
2. Periorbital in location
3. Bilateral
4. Symptoms seen in early hours of the morning

Correct answer: 3. Bilateral

Explanation: Ans: C i.e. Bilateral Cluster headache Cluster headache shows a 5:1 predominance of males and onset is usually in the third decade The characteristic presentation of cluster headache is with periodic, severe, unilateral periorbital pain accompanied by unilateral lacrimation, nasal congestion and conjunctival injection, often with other features of Horner's syndrome Typically, the patient develops these symptoms at a particular time of day (often in the early hours of the morning)